Which looks the same in T1 and T2 on MRI
1. Gall bladder
2. Fat
3. Kidney
4. CSF

Correct answer: 2. Fat

Explanation: Fat appears hyperintense on both T1 and T2 weighted images